Earliest symptom of glomus tumour is:
1. Pulsatile tinnitus
2. Deafness
3. Headache
4. Vertigo

Correct answer: 1. Pulsatile tinnitus

Explanation: (Pulsating tinnitus): Ref: 214-LT, 140-D (107-D 4th) (97-Maqbool 11th)GLOMUS TUMOURS: Arise from glomus bodies which lies on the dome of the bulb of the IJV in the hypotympanum(I) Glomus Jugulare spreads widely throughout the temporal bone(II) Glomus tympanicum often behaves as an indolent middle ear polyp.* Earliest symptom of a glomus tumour is pulsating tinnitus. this will be followed by blood stained otorrhoea, deafness and earache* Browne' sign - increasing the pressure in EAC by the Siegle's specula makes the tumour mass more prominent and red, with increased pulsations (97-Maqbool 11th)* These tumours are very vascular and locally invasive* Distant metastasis are exceptionally rareInvestigation* NMR scanning will demonstrate soft tissue extension* Jugular venography may demonstrate the extent of tumor invasion in to the jugular bulb.* Carotid angiography and vertebral angiography will demonstrate the blood supply of the tumor